Causes of a cavitating lesion in the chest radiograph are all except:
1. Hamartoma
2. Pulmonary infarction
3. Squamous carcinoma of the bronchus
4. Caplan's syndrome

Correct answer: 1. Hamartoma

Explanation: Ans. Hamartoma